Which of the following best describes a toe deformity where there is hyperextension at the metatarsophalangeal joint, flexion at the proximal interphalangeal joint and flexion at the distal interphalangeal joint?
1. Claw toe
2. Hammer toe
3. Mallet toe
4. Curly toe

Correct answer: 1. Claw toe

Explanation: Ans. A. Claw toe.These features describe a claw toe deformity. A hammer toe is only flexed at the proximal interphalangeal joint and a mallet toe is only flexed at the distal interphalangeal joint.